Which of the following vaccine is given at birth
1. DPT
2. OPV
3. Measles
4. TAB

Correct answer: 2. OPV

Explanation: Ans) b (OPV) Ret Park 20th ed 113Refer National immunization schedule (Kerala 2009 Q155)OPV zero dose is given at birth. Measles vaccination is given at 9 months and DPT 1st dose is given at 6 weeksTAB is a heat killed Typhoid bacillus vaccine which contains 1000 million of S. Typhi and S. Paratyphi A and B 750 million each per ml killed by heating at 50-60 degree Celsius and preserved in 0.5% phenol.